Which of the following is not a cause of death due to suffocation:
1. Choking
2. Gagging
3. Smothering
4. Throttling

Correct answer: 4. Throttling

Explanation: D i.e. Throttling Throttling or manual strangulation causes death due to occlusion of carotid arteries. Occlusion of airway (i.e, suffocation) plays only minor roleQ.